The Blade of the laryngoscope used in intubation of newborn is
1. Curved blade with uncuffed tube
2. Straight blade with Cuffed tube
3. Straight blade with uncuffed tube
4. Curved blade with cuffed tube

Correct answer: 3. Straight blade with uncuffed tube

Explanation: The Macintosh blade is the most widely used of the curved laryngoscope blades, while the Miller blade is the most popular style of straight blade. The Miller blades are commonly used for infants.Uncuffed tubes are limited mostly to pediatric patients (in small children, the cricoid cartilage, the narrowest portion of the pediatric airway, often provides an adequate seal for mechanical ventilation).